In transmission of malaria, mosquito bite transfers-
1. Sporozoite
2. Merozoite
3. Hypnozoite
4. Gametocyte

Correct answer: 1. Sporozoite

Explanation: Intermediate host-man Definitive host-mosquito Asexual development-man Sexual development-mosquito Sporozoite infective form.Sporozoites are present in the salivary gland of the mosquito .Man gets infection by the bite of female anopheles mosquito (refer pgno:55 baveja 3 rd edition)